In the lungs, bronchial arteries supply the bronchopulmonary tree
1. Till tertiary bronchi
2. Till segmental bronchi
3. Till respiratory bronchioles
4. Till alveolar sacs

Correct answer: 3. Till respiratory bronchioles

Explanation: bronchial artery supplies bronchial tree till respiratory bronchiole.